Snellen's chart is based on
1. Light sense
2. Colour sense
3. Contrast sense
4. Form sense

Correct answer: 4. Form sense

Explanation: Snellen's chart is based on Form sense.